Wrong about clonidine is ?
1. Alpha 2 receptor agonist
2. First line for ADHD
3. Sudden withdrawal causes rebound hypertension
4. Controls loose motions due to diabetic neuropathy

Correct answer: 2. First line for ADHD

Explanation: Ans. is 'b' i.e., First line for ADHD o Behavioural therapy is the first line therapy for the treatment of ADHD. The first line drug for ADHD is Methylphenidate. Clonidine It acts (partial agonist) on areceptors, especially a2 in brainstem - Stimulation of a2A receptors in medulla (vasomotor centre) - decrease sympathetic outflow - fall in BP and bradycardia (also due to enhanced vagal tone). Uses of clonidine Hypertension Opioid withdrawal Menopausal syndrome Alcohol withdrawal Smoking cessation Loose motions in diabetic neuropathy